Autoimmune diseases associated with Sjogren syndrome are all except?
1. RA
2. Mixed connective tissue disorder
3. SLE
4. Addisons disease

Correct answer: 4. Addisons disease

Explanation: Ans. is `d' i.e., Addisons diseaseSjogren syndromeSjogren syndrome is a chronic disease characterized by dry eyes (keratoconjuctivitis sicca) and dry mouth (xerostomia) resulting from immunological mediated destruction of the lacrimal and salivary glands.